The most reliable urine specimen is obtained by
1. Urethral catheterization
2. Catheter aspiration
3. Midstream voiding
4. Suprapubic aspiration

Correct answer: 4. Suprapubic aspiration

Explanation: the most reliabe urine sample is obtained through suprapubic aspiration .it is superior to clean catch or catheter specimen with sensitivity for bacteriuria being 100% and rarely contaminated.But this is not routinely indicated . A midstream sample is obtained for urine analysis in both males and females after cleaning of genitalia to prevent contamination but in females if uti is suspected midstream sample is unreliable and a catheterised sample is obtained.Indications for suprapubic aspiration 1) chilren below 2 years if urine culture is to be done 2) urinary retention ( bph , malignancy , phimosis , urethral stricture ) 3) chronic infection of urethral or periurethral glands 4) urethral trauma. contraindications . 1) empty or unidentifiable bladder 2) bladder tumour 3) lower abdominal wounds or cellulitis ( campbell walsh urology 11th edition . chapter 1.,article 82964 .suprapubic aspiration ,medscape by alexander d tapper et al )